Keshan cardiomegaly occur due to deficiency of
1. Zinc
2. Copper
3. Selenium
4. Iron

Correct answer: 3. Selenium